Platelate aggregation is caused by all, except ?
1. Thromboxane A2
2. Serotonin
3. Prostacyclin (PGI2)
4. Thrombin

Correct answer: 3. Prostacyclin (PGI2)

Explanation: Ans. is 'c' i.e., Prostacyclin (PGI2)Factors promoting platelet aggregation : ADP, TXA2 , epinephrine, serotonin, vWF, fibrinogen, collagen, immune complex, thrombin, thrombospondin.Factors inhibiting platelet aggregation : PGI2, NO, endothelin, bradykinin.